Treatment of atropine toxicity is:
1. 2–Pralidoxime
2. Naloxone
3. Flumazenil
4. Physostigmine

Correct answer: 4. Physostigmine